One of the following is not a 5-HT receptor antagonist
1. Ketanserin
2. Lanreotide
3. Methysergide
4. Tropisetron

Correct answer: 2. Lanreotide

Explanation: 1. Ketanserin It has selective 5-HT2 receptor blocking property with negligible action on 5-HT1, 5-HT3 and 5 HT4 receptors and no partial agonistic activity. 2. Methysergide is a potent 5-HT2A antagonist, nonselective-acts on S-HT1 receptors. It is used for migraine prophylaxis, carcinoid, and postgastrectomy dumping syndrome. 3. Tropisetron is a 5-HT3 receptor antagonist used mainly as an antiemetic to treat nausea and vomiting following chemotherapy 4. lanreotide is a long-acting analog of somatostatin-used for acromegaly REF: ESSENTIALS OF MEDICAL PHARMACOLOGY; KD TRIPATHI 8TH EDITION